Which one of the following is used to aid in smoking cessation
1. Buspirone
2. Bupropion
3. Naltrexone
4. Fluoxetine

Correct answer: 2. Bupropion

Explanation: (B) Bupropion